In aortic dissection most accurate investigation is :
1. ECG
2. CT scan
3. Aortography
4. MRI scan

Correct answer: 4. MRI scan

Explanation: Ans. MRI scan